Neoadjuvant chemotherapy is used in all except (REPEAT)
1. Esophagal carcinoma
2. Breast carcinoma
3. Thyroid carcinoma
4. Non small cell carcinoma of lung

Correct answer: 3. Thyroid carcinoma

Explanation: Thyroid carcinomas ate extra ordinarily resistant to chemotherapy Neoadjuvant chemotherapy is admistration of chemotherapy before surgery or radiation therapy whereas adjuvant chemotherapy is used after surgery